Complements produced by spleen
1. C1
2. C2, C4
3. C5, C8
4. C3, C6

Correct answer: 3. C5, C8

Explanation: C1 -Intestinal epithelium
C2, C4 - Macrophages
C5, C8 - Spleen
C3, C6, C9 - Liver.